A testicular tumor marker is -
1. a-Fetoprotein
2. Ectopic hormones
3. CEA
4. Testosterone

Correct answer: 1. a-Fetoprotein

Explanation: Ans. is 'a' i.e., a-Fetoproteins